Which of the following nerve constitute the afferent component of corneal reflex?
1. Vagus nerve
2. Facial nerve
3. Trigeminal nerve
4. Glossopharyngeal nerve

Correct answer: 3. Trigeminal nerve

Explanation: The afferent component of corneal reflex is mediated by trigeminal nerve and efferent component is mediated by facial nerve which innervates the orbicularis oculi muscle. In this reflex, touching the cornea from the side while the subject looks forward evokes blinking. Ref: Comprehensive Ophthalmology By A K Khurana, 4th Edition, Pages 292-3; Color Atlas of Neurology By Reinhard Rohkamm, Page 26.